A 40-year-old woman complained of unrelenting headache, accompanied by fever, chills, and malaise. After 3 to 4 days, a dry cough developed. Her white cell count was normal. Chest x-ray and CT scan were done. A pathogen I suspected which produces colonies like the ones given below. Which of the following is the most likely diagnosis?
1. Legionella pneumophilia
2. Parainfluenza virus
3. Streptococcus pneumoniae
4. Mycoplasma pneumoniae

Correct answer: 4. Mycoplasma pneumoniae

Explanation: Chest X-rays reveal a patchy, diffuse bronchopneumonia involving both lobes. CT scan reveals Ground glass opacity of interstitial change along with air bronchogram The classical friend egg appearance of the colonies of Mycoplasma pneumoniae. The description suggests atypical pneumonia caused by Mycoplasma pneumoniae. Patients often remain ambulatory throughout the illness, hence the name "walking pneumonia." The disease remits after 3 to 10 days without specific treatment X-ray abnormalities resolve more slowly in 2 weeks to 2 months. In legionellosis - WBCs are elevated In viral infections- WBCs are below normal